Most common site of rupture of esophagus during rigid esophagoscopy is at
1. Above cricopharynx
2. Near vocal cord
3. GE junction
4. At killian's dehiscence

Correct answer: 4. At killian's dehiscence

Explanation: Complications of Rigid esophagoscopv Injury to lips and teeth. Injury to arytenoids. Injury to pharyngeal mucosa. Perforation of esophagus; most often it occurs at the site of killians dehiscence (near the cricopharyngeal sphincter). Compression of trachea.